Beta blockers used in CHF is
1. Timolol
2. Atenolol
3. Acebutalol
4. Carvedilol

Correct answer: 4. Carvedilol

Explanation: [D) (Carvedilol): (523-KDT7th edition)CARVEDILQL is a Betaj + Beta2 + Alpha! adrenoceptor blocker produces vasodilatation due to Alpha 1 blockade as well as calcium channel blockade and has antioxidant property. It has been used in hypertension and is the Beta blocker especially employed as cardioprotective in CHF (151-KDT7th)* b1 blockers mainly (metoprolol, bisoprolol, nebivolol) in mild to moderate CHF treated with ACE inhibitor + diuretic digitalis* There is no place for b blockers in decompensated patients. b blockers should be stopped during an episode of acute heart failure and recommended at lower doses followed by uptitration after compensation is restored